Malgaigne's fracture involves:
1. Pelvis
2. Femur head
3. Tibial spine
4. Proximal humerus

Correct answer: 1. Pelvis

Explanation: Malgaigne's fracture: A type of pelvis fracture in which there is a combination of fractures, pubic rami anteriorly and sacro-iliac joint or ilium posteriorly, on the same side.